Deficiency of GpIIb-IIIa results in which of the following condition?
1. Glanzmann thrombasthenia
2. Wiskot Aldrich syndrome
3. Bernard Soulier syndrome
4. None of the above

Correct answer: 1. Glanzmann thrombasthenia

Explanation: Platelet activation by ADP triggers a conformational change in the platelet GpIIb-IIIa receptors that induces binding to fibrinogen, a large protein that forms bridging interactions between platelets that promote platelet aggregation. Predictably, inherited deficiency of GpIIb-IIIa results in a bleeding disorder (Glanzmann thrombasthenia). Ref: Robbins 8th edition Chapter 4.